Death in Poliomyelitis is due to -
1. Infection
2. Neurogenic shock
3. Cardiac failure
4. Respiratory paralysis

Correct answer: 4. Respiratory paralysis

Explanation: Ans. is 'd' i.e., Respiratory paralysis . Mortality in paralytic poliomyelitis ranges from 5-10 % and is mainly due to respiratory failure.